pH of vagina in pregnancy is:
1. 4-Feb
2. 6-Apr
3. 8-Jun
4. 10-Aug

Correct answer: 2. 6-Apr

Explanation: Ans. B: 4- 6 Vaginal walls becomes hypertrophied and more vascular.Increased blood supply of the venous plexus surrounding the walls gives the bluish colouration of the mucosa (Jacquemier's sign) Vaginal secretion becomes copious, thin and curdy white, due to marked exfoliated cells and bacteria. The pH becomes acidic (3.5-6) due to more conversion of glycogen into lactic acid by the lactobacillus.